Following gene when mutated protects tumor cells from apoptosis:
1. bcl-2
2. BRCA
3. RB
4. TGFβ

Correct answer: 1. bcl-2

Explanation: We need to identify a gene that should be able to inhibit apoptosis. The answer, therefore, is bcl-2. It is seen to result in the development of follicular lymphoma.